Following displacement is seen in Colle's fracture EXCEPT :
1. Dorsal tilt
2. Ventral tilt
3. Dorsal displacement
4. Lateral displacement

Correct answer: 2. Ventral tilt

Explanation: Displacement in Colle's fracture :

The fracture line runs transversely at the cortico - cancellous junction.
In the majority of the cases, one or more displacements of the distal fragment occur :


Dorsal displacement (Dorsal shift).
Dorsal tilt (Dorsal angulation).     
Lateral displacement (lateral shift).
Lateral tilt (lateral angulation).
Lateral tilt (lateral angulation).
Stipulation (external rotation ).
Impaction (proximal migration).